Dreaming is charactersitic of-
1. REM sleep
2. Stage II NREM sleep
3. Stage IV NREM sleep
4. Stage I NREM sleep

Correct answer: 1. REM sleep

Explanation: Ans. is 'a' i.e., REM sleep o Features of REM sleep are: -i) EEG - Beta-wave, Reappearance of alpha wave, Saw-tooth wave (low voltage fast activity), Ponto-genital- occipital spikes.ii) Dreamingiii) Other features :- Generalized muscular atony, Penile erection, autonomic hyperactivity (Increased pulse rate & BP) and intermittent movement of small muscle groups.